Jean Piaget put forth the theory of
1. Psychoanalytic theory of psychosexual development
2. Social learning
3. Cognitive development
4. Cultural adaptation

Correct answer: 3. Cognitive development